True about RNA Polymerase is:
1. Requires primers
2. RNA dependent DNA Polymerase
3. No proof reading activity
4. Recognizes Shine dalgarno sequence

Correct answer: 3. No proof reading activity

Explanation: RNA Polymerase does not require primers (option a) RNA Polymerase has no proof reading activity DNA polymerase has proof reading activity It is DNA dependent RNA Polymerase (option b is wrong) Shine dalgarno sequence is recognized by protein synthesizing machinery i.e. Ribosome (option d), and not RNA Polymerase. RNA polymerase recognize TATA box. Prokaryotes have a single RNA Polymerase. But there are many types in Eukaryotes.